After cataract is best treated with
1. ARGON LASER
2. Nd-YAG LASER
3. EXIMER LASER
4. Holmium LASER

Correct answer: 2. Nd-YAG LASER